Atorvastatin is used as an anti dyslipidemic drug. These drugs inhibit their target enzyme by
1. Competitive inhibition
2. Non-competitive inhibition
3. Uncompetitive inhibition
4. Irreversible inhibition

Correct answer: 1. Competitive inhibition

Explanation: Atorvastatin: Anti dyslipidemic drug Inhibits HMG COA reductase competitively. Properties of Atorvastatin: - Antioxidant property. High efficacy, most commonly used statin capable of lowering LDH by 55-60 % Longer plasma t 1/2 14 - 18 hrs. Competitive Non competitive 1. Antagonist bind with same site as substrate (active site) 2. Antagonist resembles chemically with the substrate 3. Km increase 1. Binds to another site called allosteric site 2. Does not resemble 3. Vmax decrease